All are been in Pancoast syndrome except
1. Brachial plexus involvement
2. Dyspnoea
3. Clubbing
4. Myasthenia gravis

Correct answer: 4. Myasthenia gravis

Explanation: Pancoast tumour invades brachial plexus,sympathetic chain,upper ribs,and vertebrae.Dyspnoea can occur due to loss of functioning lung tissue/the development of a large pleural effusion.Clubbing and hypertrophic pulmonary osteoarthropathy can also occur. Bailey & Love's short practise of surgery,25 th edition,page no:885